Which of the following is not seen in tuberous sclerosis?
1. Giant cell astrocytoma
2. Subependymal nodule
3. White matter lesion
4. Ependymoma

Correct answer: 4. Ependymoma

Explanation: Ans. d. Ependymoma